Malarial relapse is seen with which species of Plasmodium?
1. P. Falciparum
2. P. Malariae
3. P. Knowlesi
4. P. Ovale

Correct answer: 4. P. Ovale

Explanation: There are four main species of Plasmodium that cause malaria in humans: Plasmodium vivax, Plasmodium falciparum, Plasmodium malariae, and Plasmodium ovale. Transmission to humans is by the bloodsucking bite of female Anopheles mosquitoes.P vivax and P ovale may persist as dormant forms, or hypnozoites, after the parasites have disappeared from the peripheral blood. The resurgence of an erythrocytic infection (relapse) occurs when merozoites from hypnozoites in the liver break out, are not phagocytosed in the bloodstream, andsucceed in reestablishing a red cell infection. Without treatment, P vivax and P ovale infections may persist as periodic relapses for up to 5 years.Ref: Jawetz; 27th edition; Page no: 718